which of the following is most likely to be acquired by traumatic inoculation
1. Blastomycoses dermatitidis
2. Sporothrix Schenkii
3. Coccides immitis
4. Paracoccidioides Brasiliensis

Correct answer: 2. Sporothrix Schenkii

Explanation: All dimorphic fungi are acquired respiratory route except Sporothsix schenkii which is acquired in majority by traumatic inoculation of conidia it's also known as Rose garden ds. ref : ananthanaryana